Most common pancreatic endocrine neoplasm:
1. Insulinoma
2. Gastrinoma
3. VIPoma
4. Glucagonoma

Correct answer: 1. Insulinoma

Explanation: M/C NET of Pancreases - Non-Functional (PPOMA) M/C functional NET of Pancreas -Insulinoma MC Functional Enteropancreatic NET in MEN 1 - Gastrinoma > Insulinoma M/C functional & Malignant NET of Pancreas - Gastrinoma IOC for localization of NET - SRS (Somatostatin receptor Scintigraphy)